Which of the following disease is known as "Great Masquerader"?
1. Chemodectoma
2. Argentaffinoma
3. Paraganglioma
4. Pheochromocytoma

Correct answer: 4. Pheochromocytoma

Explanation: Since Pheochromocytoma has a variable presentation it is known as "Great Masquerader". It presents as episodes of palpitations, headache and profuse sweating. Catecholamine crisis can lead to heart failure, pulmonary edema, arrhythmia and intracranial hemorrhage. Moreover paroxysms are precipitated by surgery, positional changes, exercise and urination leading to great diagnostic challenge.